Bacteroides are often implicated in the causation of:
1. UTI
2. Empyema
3. Uretheritis
4. Conjunctivitis

Correct answer: 2. Empyema

Explanation: Ans. B i.e. Empyema